The drug of choice in a 50 year old patient presenting with hyperglycemia and ketoacidosis?
1. Oral hypoglycemic drugs
2. Lente Insulin
3. Oral drugs with intermediate acting insulin
4. Regular Insulin

Correct answer: 4. Regular Insulin

Explanation: Answer is D (Regular Insulin): The drug of choice for managing hyperglycemia in diabetic ketoacidosis is regular insulin The drug of choice for managing hyperglycemia in diabetic ketoacidosis is regular insulin because of its rapid but short- duration actions. Regular (fast-acting) insulin is the primary insulin preparation used in the management of Diabetic Ketoacidosis (DKA) and is the only insulin that should be given intravenously or intramuscularly. Lente insulin is a longer-acting form of insulin than regular and should not be used. Oral Hypoglycaemic agents are never used for initial management of Diabetic Ketoacidosis.